Aminoglycosides are given in a single dose rather than thrice daily because of following reason?
1. Very long half life
2. Time Dependent Killing
3. Increased binding to plasma proteins
4. Long Post Antibiotic effect

Correct answer: 4. Long Post Antibiotic effect

Explanation: Aminoglycosides exert Concentration Dependent Bactericidal action and Long Post-Antibiotic effect ,such that the antibacterial activity persists beyond the time during which measurable drug is present.Therefore higher plasma concentrations attained after the single daily dose will be equally or more effective than the divided doses and also convenient and cheaper. This is also to make sure that the plasma concentration remains low so as to not cause Ototoxicity and Nephrotoxicity. This allows washout of the drug from the Endolymph and the Renal cortex.